Extradural hemorrhage in NCCT Head is seen as?
1. Hyperdense biconvex
2. Hypodense biconcave
3. Hyperdense biconcave
4. Hypodense biconvex

Correct answer: 1. Hyperdense biconvex

Explanation: Extradural hemorrhage (EDH): Bleeding occurs between skull and dura mater. Occurs due to the rupture of a middle meningeal artery. Lucid interval (Consciousness between two periods of unconsciousness) exists. NCCT head in EDH: Biconvex or flame-shaped hyper-density. Subdural hemorrhage (SDH): Occurs due to rupture of cortical bridging veins. In NCCT it shows concavo-convex or sickle-shaped bleed.